Which of the following disorders of eye is controlled using SAFE strategy?
1. Cataract
2. Trachoma
3. Glaucoma
4. Diabetic retinopathy

Correct answer: 2. Trachoma

Explanation: In 1997, WHO developed a strategy known as 'SAFE' to control trachoma worldwide. S -- Surgery for trachomatous trichiasis A -- Antibiotics (Azithromycin/tetracycline) F -- Facial cleanliness E -- Environmental change Ref: Pg Ophthalmology: V. I and, Volume 2 By Zia Chaudhari, Pages 15-6.